Germ tube test is used in diagnosis for -
1. Candida albicans
2. Cryptococcus
3. Histoplasma
4. Coccidioidomycosis

Correct answer: 1. Candida albicans